Substrate for gluconeogenesis -
1. Acetyl-CoA
2. Fatty acid
3. Pyruvic acid (pyruvate)
4. All of the above

Correct answer: 3. Pyruvic acid (pyruvate)

Explanation: Ans. is 'c'i.e., Pyruvic acid (pyruvate) o Substrates for gluconeogenesis are lactate (lactic acid), pyruvate, glycerol, glucogenic amino acids (all amino acids except leucine and lycine), propionate and intermediates of citric acid cycleo Acetyl CoA is not a substrate for gluconeogenesis, therefore glucose cannot be synthesized from acetyl CoA. This is because acetyl CoA cannot be converted to pyruvate since its carbon backabone is lost in citric acid cycle as CO2. As fatty acids are oxidized to acetyl CoA, fatty acids also cannot be the substrate for gluconeogenesis.